High stepping gait is due to-
1. Quadriceps paralysis
2. Foot drop
3. Gluteus maximum paralysis
4. CDH

Correct answer: 2. Foot drop

Explanation: *High stepping gait is due to foot drop as a result of common perineal nerve or sciatic nerve injury. *The leg is lifted more in order to get clearance. *First to touch the ground is forefoot.